Comprehension in intact with aphasia in
1. Wernicke's
2. Broca's
3. Global aphasia
4. Transcortical sensory

Correct answer: 2. Broca's

Explanation: Ans. is 'b' i.e., Broca's